Level of glucose transporters are reduced after overnight fast in which of the following cells?
1. Liver cells
2. Brain cells
3. RBCs
4. Cardiac muscle

Correct answer: 4. Cardiac muscle

Explanation: Insulin is needed for GLUT mediated uptake of glucose in skeletal muscle, cardiac muscle and adipose tissue(GLUT4). Expression of GLUT will be affected after an overnight fast in these cells. Brain cells, RBCs & hepatocytes do not require insulin for glucose transport.